Deformity with decreased carrying angle is:
1. Cubitus varus
2. Mannus varus
3. Cubitus valgus
4. Mannus valgus

Correct answer: 1. Cubitus varus

Explanation: Cubitus varus: decreased carrying angle Opposite condition of Cubitus varus is Cubitus valgus. Cubitus valgus: increased carrying angle. Other high yield points to be remembered: mannus is term used for denoting wrist joint mannus varus -ulnar deviation of hand at wrist joint mannus valgus-radial deviation of the hand at wrist joint